Blind spot enlargement indicates:
1. Retinal detachment
2. Avulsion of optic nerve
3. Papilloedema
4. Papillitis

Correct answer: 3. Papilloedema

Explanation: c papilloedema refkhurana 3rd/e p. 286